The complication of using airotor at 30,000 rpm for impacted molar is
1. Necrosis of bone
2. Tissue laceration
3. Tissue necrosis
4. Emphysema

Correct answer: 4. Emphysema